Epidemic of polio is due to -
1. Type I virus
2. Type II virus
3. Type III virus
4. Combine type II and III virus

Correct answer: 1. Type I virus

Explanation: Poliovirus tyoe 1 is responsible for most epidemics of paralytic poliomyelitis. Type 3 also causes but to a lesser extent. REF:ANANTHANARAYAN AND PANIKER'S TEXTBOOK OF MICROBIOLOGY 9TH EDITION PAGE NO:490